Most of the CO2 transported in the blood is
1. Dissolved in plasma.
2. In carbamino compounds formed from plasma proteins.
3. In carbamino compounds formed from hemoglobin.
4. In HCO3–

Correct answer: 4. In HCO3–

Explanation: The CO2 that diffuses into red blood cells is rapidly hydrated to H2CO3 because of the presence of carbonic anhydrase.
The H2CO3 dissociates to H+ and HCO3-, and the H+ is buffered, primarily by hemoglobin, while the HCO3- enters the plasma.